Probenecid interacts with ?
1. Streptomycin
2. Ampicillin
3. Vancomycin
4. Erythromycin

Correct answer: 2. Ampicillin

Explanation: Ans. is 'b' i.e., Ampicillin Interactions of probenecid Probenecid inhibits urinary excretion of penicillins, cephalosporins, methotrexate, sulfonamides and indomethacin. It inhibits biliary excretion of rifampicin. Salicylates block uricosuric action of probenecid. Probenecid inhibits tubular secretion of nitrofurantoin. Pyrazinamide and ethambutol may interfere with uricosuric action of probenecid. Note : Ampicillin is a penicillin.